An obese woman with type 2 diabetes and hypertension is diagnosed with endometriod type of endometrial carcinoma. Most probable gene defect expected in this condition is:
1. PTEN
2. p53
3. MSH2
4. BRCA2

Correct answer: 1. PTEN

Explanation: Types of Endometrial cancer: Type 1(Endometroid type) Type 2(Serous,clear ,type) Associated with PTEN gene mutations Good prognosis Estrogen dependent Pre - invasive lesions Develops in obese women Associated with P-53 gene mutations Poor prognosis Not estrogen dependent Develops in thin women